Loss of hetrozygosity is associated with:
1. Acute myeloid leukemia
2. ALL
3. Retinoblastoma
4. Promyelocitic leukemia

Correct answer: 3. Retinoblastoma

Explanation: . Retinoblastoma